Drugs is useful in the long term treatment of alcohol dependence:
1. Acamprosate
2. Chlordiazepoxide
3. Flumazenil
4. Imipramine

Correct answer: 1. Acamprosate

Explanation: Ans. Acamprosate